All of the following nondepolarising neuromuscular blocker causes histamine release except-
1. Atracurium
2. Mivacurium
3. d-tubocurare
4. Vecuronium

Correct answer: 4. Vecuronium

Explanation: All benzylisoquinoline nondepolarising neuromuscular blocker causes histamine release. Aminosteroid group does not release histamine. NDNB divided in three group according to duration of action - Long- acting, intermediate - acting and short- acting. Aminosteroid Long acting Pancuronium pipecuronium Benzylisoquinoline D-tubocurane, Doxacurium Intermediate acting Aminosteroid Vecuronium Rocuronium Benzylisoquinoline Atracurium Cisatracurium Short acting Aminosteroid Rapacuronium Benzylisoquinoline Mivavcurium * Benzylisoquinoline group causes histamine release so IV injection of these drugs can cause hypotension,tachycardia, Bronchospasm, Flushing.